Arrange following parts of Anesthesia machine according increasing pressure system wise i) Vaporize mounting devices ii) Hanger yoke assembly iii) Flow indicators iv) Pipe line indicator
1. (iii), (i), (iv), (ii)
2. (i), (iv), (iii), (ii)
3. (ii), (i), (iii), (iv)
4. (iii), (iv), (ii), (i)

Correct answer: 1. (iii), (i), (iv), (ii)

Explanation: Anesthesia machine according increasing pressure system iii) Flow indicators i) Vaporize mounting devices iv) Pipe line indicator ii) Hanger yoke assembly